Lymphoreticular system includes -
1. T- cells
2. B-cells
3. Neutrophils
4. All

Correct answer: 4. All

Explanation: Ans. is 'a' i.e., T- cells; 13' i.e., B-cells; 'c' i.e., Neutrophils Lymphoreticular system is a complex organization of cells of diverse morphology distributed widely in different organs and tissues of the body responsible for the immunity.